Father of serial extraction philosophy in USA is
1. Kjellgren
2. Nancy
3. Dewel
4. Hotz

Correct answer: 2. Nancy